Rubin's diagnostic criteria is used for:
1. Ovarian pregnancy.
2. Hydatiform mole.
3. Cervical pregnancy.
4. Abdominal pregnancy.

Correct answer: 3. Cervical pregnancy.

Explanation: Ans. C. Cervical pregnancyRubin's criteria, given by Rubin in 1983 for diagnosis of cervical pregnancy are as followsa. Soft enlarged cervix to or equal to or larger than fundus.b. Uterine bleeding following amenorrhea without uterine cramping.c. Products of conception entirely within or firmly attached to endocervix.d. Closed internal os, partially opens external os.